All of the following are true about Krukenburg's tumor except :
1. Has a rough surface
2. Shape of ovary is maintained
3. Usually bilateral
4. Arises usually from stomach carcinoma

Correct answer: 1. Has a rough surface

Explanation: Has a rough surface